Which of the following are seen in deep NREM sleep:
1. Alfa waves
2. Beta waves
3. Teta waves
4. Delta waves

Correct answer: 4. Delta waves

Explanation: Delta waves are seen in deep sleep Beta waves are seen in active state Alfa waves are seen in patients with decreased attention Theta waves seen in case of drowsiness